All are true for root canal sealer except:
1. Excessive use of sealer tends to extrusion in periapical areas
2. Sealer mediates immune reaction in perapical region
3. Loss of sealer causes porosity between root filter and tooth surfaces
4. Sealer occupies the space between root filler and tooth surfaces

Correct answer: 2. Sealer mediates immune reaction in perapical region